A 31 - year - old male, with mood disorder, on 30 mg of haloperidol and 100 mg of lithium, is brought to the hospital emergency room with history of acute onset of fever, excessive sweating, confusion, rigidity of limbs and decreased communication for a day. Examination reveals tachycardia and labile blood pressure and investigations reveal increased CPK enzyme levels and leukocytosis. He is likely to have developed:
1. Lithium toxicity
2. Tardive dyskinesia
3. Neuroleptic malignant syndrome
4. Hypertensive encephalopathy

Correct answer: 3. Neuroleptic malignant syndrome

Explanation: Antipsychotic drugs have Extrapyramidal symptoms- dur to D2 blockade in limbic system Extrapyramidal symptoms Clinical features Special DOC Malignant neuroleptic syndrome Fluctuating level of consciousness Hyperthermia Muscles rigidity Increase level of CPK Increase level of liver enzyme Confusion Diaphoresis Most common cause of death in this syndrome is acute renal failure Most serious side effect Dantrolene